Pulse oximetry monitors
1. Oxygen saturation of hemoglobin
2. Oxygen content of blood
3. Pulse pressure
4. Oxygen partial pressure

Correct answer: 1. Oxygen saturation of hemoglobin

Explanation: Pulse oxymetry monitors heart rate, oxygen saturation of hemoglobin and gives arterial waveform. It works on the principle of transmission spectrophotometry and optical plethysmography. It has 2light emitting diodes.one is red with the wavelength of 660nm and other one is infrared with the wavelength of 940nm.